In the mandibular arch, the greatest lingual inclination of the crown from its root is seen in the permanent:
1. Canine
2. Third molar
3. First premolar
4. Central incisor

Correct answer: 3. First premolar